Agnosia is caused by lesion of
1. Representative hemisphere, left
2. Categorial hemisphere, left
3. Representative hemisphere, right
4. Categorial hemisphere, right

Correct answer: 3. Representative hemisphere, right

Explanation: Agnosia is the general term used for inability to recognise objects by a particular sensory modality even though the sensory modality itself is intact. Lesions producing these defects are in parietal lobe especially when they are in the representational hemisphere. Ref:Ganongs Review of medical physiology;23 rd edition ; pg :296